A subcentre in a hilly area caters to a population of -
1. 1000
2. 2000
3. 3000
4. 5000

Correct answer: 3. 3000

Explanation: The subcentre is the peripheral outpost of the existing health delivery system in rural areas .They are being established on the basis of one subcenter for every 5000 population in general and one for every 3000 population in hilly,tribal and backward areas (refer pgno:903 park 23rd edition)